Conditions required for autoclave is?
1. 121degC temperature for 20min
2. 121degC temperature for 15 min
3. 100degC temperature for 60 min
4. 100degC temperature for 90 min

Correct answer: 2. 121degC temperature for 15 min

Explanation: ANSWER: (B) 12TC temperature for 15 minREF: Textbook of Microbiology by Ananthanarayan & Paniker 7th edition page 27, Microbiology: A Laboratory Manual, 7th ed by Cappuccin page 283Working temperature and time for different techniques of sterilization:InstrumentPrincipleControlTempPressureTimeHot air ovenDry heatClostridiumtetani160deg C 1 hourPasteurizationMoist heatNA63deg C or0 (free flowing steam)30 min (holders method) followed by rapid cooling to 13deg C or below72deg C0 (free flowing steam)15-20 sec (flash process)followed by rapid cooling to 13deg C or belowTyndallizationMoist heatNA100degC0 (free flowing steam)20 min for 3 successive days (first exposure for vegetative forms & subsequest exposures for spores)Koch steam sterilizerMoist heatNA100degC0 (free flowing steam)90 minAutoclaveMoist heat under pressureBacillusstearother-mophillus121degC15 pounds 1 /inch215 min for bacteria & spores1 hour for prions